Healing of a wound which simply restores the continuity of the diseased marginal gingiva is known as
1. Regeneration
2. new attachment
3. Repair
4. reattachment

Correct answer: 3. Repair